Omphalocele is caused by:-
1. Duplication of intestinal loops
2. Abnormal rotation of intestinal loops
3. Failure of gut to return to body cavity after its physiological herniation
4. Reversed rotation of intestinal loops

Correct answer: 3. Failure of gut to return to body cavity after its physiological herniation

Explanation: Omphalocele: Also called as Exomphalos It is physiological herniation of bowel loops and failure of gut to return to body cavity. Occurs due to incomplete closure of abdominal musculature. Abdominal viscera herniate into ventral membranous sac. May be associated with cardiac / congenital anomalies.